True statement about glucokinase is all except
1. Km value is higher than normal blood sugar
2. Found in liver
3. Glucose enter into cells through GLUT2
4. G-6-P inhibits it

Correct answer: 4. G-6-P inhibits it